All the following coenzymes participate in the transfer of hydrogen and electrons, Except
1. FAD
2. PLP
3. NAD+
4. NADP+

Correct answer: 2. PLP

Explanation: "Most of the energy liberated during the oxidation of carbohydrate, fatty acids, and amino acids is made available within mitochondria as reducing equivalents ('H or electrons)" - electron transport chainPyridoxal phosphate (PLP) is a coenzyme in transamination reactions.Ref: Harper 30th edition pg: 127